Best assessment of protein binding regions on a DNA molecule can be done by:
1. DNA footprinting
2. PCR
3. Microarray
4. Western blotting

Correct answer: 1. DNA footprinting

Explanation: Answer-(a) DNA footprinting DNA footprinting- An in-vitro technique to find out protein binding regions on a DNA molecule. The technique is also called as DNAse I footprinting.Thousands of proteins (enzymes) are interacting with DNA in the nucleus for regulating activities like replication, transcription, translation etc.DNA Footprinting is a molecular technique used to identify the specific DNA sequence (binding site) that binds to a protein.This technique mainly used to identify the transcription factors which bind to promoter, enhancer or silencer region of gene to regulate its expression. Therefore the regulation of transcript ion of a gene can be studied using this method.